Human diseases are due to bad clouds was a part of which theory?
1. Supernatural causes
2. "Miasma" theory
3. Germ theory
4. Epidemiological triad

Correct answer: 2. "Miasma" theory

Explanation: "Miasma" theory which postulated that human diseases are due to bad clouds which are more dense at lower altitudes and hence diseases are more common among people who live nearer to the earth or sea level Ref: Textbook on Public Health and Community Medicine pg: 17